A new bom of 3-4 days old passes greenish stools 8-10 times /day management is
1. Give ORS
2. Give antibiotics
3. Reassure the mother that this is normal
4. Send stool for culture

Correct answer: 3. Reassure the mother that this is normal

Explanation: (C) (Reassure the mother that this is normal)What will my newborn's poos be like?For the first couple of days after the birth, baby will pass meconium. Meconium is greeny-black in colour, and has a sticky, tar-like texture. It is made up of mucus, amniotic fluid, and everything baby has ingested while she was in mothers womb (uterus). Meconium may be difficult to wipe off baby's tiny bottom, but its appearance is a good sign that her bowels are working normally. In the early weeks, baby may poo during or after every feed. On average, she will do four poos a day in the first week. This will slowly settle down and her bowels will work out their own routine. One then find that she poos at a similar time each day.A newborn can have as many as eight to ten bowel movements a day, but as long as she is having at least one, she's probably all right.One day without a bowel movement is usually no cause for concern. As long as baby is feeding well and wetting her diaper five or six times a day, then she's most likely getting enough to eat. If she starts to become uncomfortable or has a persistently swollen abdomen, then she may need some help with pooping, and one should speak to pediatrician about how to facilitate this.In the early days, a newborn's bowel movements are thick and dark green in color. This is due to a substance called meconium that has been building up in her intestines during pregnancy. As the baby starts to feed and have bowel movements, she will finish expelling the meconium and her stools will start to turn yellowish. It is not uncommon for an infant's bowel movements to vary in color from day to day. The color of the stools can depend on a variety of things, including what a breastfeeding mom is eating, how hydrated the baby is, and the type and frequency of formula the infant is being fed, if applicable* Most sensitive indicator of intravascular volume depletion in infants- Heart rate *** Probiotics have been shown to have beneficial effects in prevention of Necrotizing enterocolitis in preterm infants* Rota virus is the single most common cause (MCC) of diarrhea amonget children in both developed and developing world* Enterotoxigenic E.coli (ETEC) is the MCC of bacterial diarrhea amongs children in developing world* ETEC is the MC bacterial cause for Traveler's diarrhea **